In obstruction of second part of axillay artery, theanostomosis between the following artery will maintain the blood supply of upper limb:
1. Deep branch of transverse cervical artery & subscapular artery
2. Anterior & posterior circumflex humeral
3. Posterior circumflex humeral & circumflex scapular artery
4. Suprascapular & anterior circumflex humeral artery

Correct answer: 1. Deep branch of transverse cervical artery & subscapular artery

Explanation: Deep branch of transverse cervical artery & subscapular artery [Ref: BDC 4/e, Vol 1, p 56, 82; Snell's Clinical Anatomy 6/e, p 412-413, 657; Moore Clinical Anatomy 5/a, p 766-7671Axillary artery is the continuation of the subclavian artery. It is crossed by pectoralis minor muscle which devides it into three parts.A rich anastomosis exists around the scapula between branches of subclavian artery (first part) & the axillary artery (third part).This anastomosis provides a collateral circulation through which blood can flow to the limb when the distal part of subclavian artery or the proximal part of axillary artery is blocked.Anastomosis around the scapula :Formed by branches of-Subclavian artery - first part- Suprascapular artery- Deep branch of transverse cervical arteryAxillary artery - third part- Subscapular artery & its circumflex scapular branchThere are other smaller anastomoses over the acromion process, which also helps to maintain .flow to arm. (BDC Vol I, 4/e, p 82)Anastomoses over the acromion processFormed by -a)Acromial br. of thoraco-acromial arteryb)Acromial br. of suprascapular arteryc)Acromial br. of posterior circumflex humeral arteryThe subscapular artery also forms anastomoses with intercostal arteries